Which is the most potent chemotactic complement?
1. C5b
2. C5a
3. C4a
4. C2b

Correct answer: 2. C5a

Explanation: C5a, C3a, C4a are chemotactic, C5a is most potent chemotactic.